Cyclic AMP increase the rate of glycogenolysis by
1. Promoting the formation of phosphorylase
2. Acting as a cofactor for glycogen phosphorylase
3. Furnishing phosphate for the phosphorylysis of glycogen
4. Acting as a precursor of 5' AMP which is a cofactor for glycogen phosphorylase

Correct answer: 1. Promoting the formation of phosphorylase

Explanation: The roles of cAMP and inorganic phosphate (Pi) in the regulation of muscle glycogenolysis during exercise have been investigated in humans using the needle biopsy technique. The fraction of phosphorylase a in resting muscle was as a mean 23%, but the rate of glycogenolysis was extremely low. Epinephrine infusion increased cAMP in muscle by 3-fold and transformed 80% of phosphorylase to the form